In hemolytic uremic syndrome characteristic finding in peripheral smear is -
1. Burr cell
2. Anisopoikilocytosis
3. Leukemoid reaction
4. Burr cells with fragmented RBC's

Correct answer: 4. Burr cells with fragmented RBC's